A 28-year-old lady with Uhthoff phenomenon MRI shows.
1. Devic's disease
2. Marburg disease
3. Dawson fingers
4. Acute disseminated encephalomyelitis

Correct answer: 3. Dawson fingers

Explanation: Ans. (c) Dawson fingers.Image source - style="font-family: Times New Roman, Times, serif">